Which of the following lesion shows most specific anatomic changes in HIV infection
1. Lymph nodes
2. Opportunistic infection
3. CNS lesions
4. Kaposi's sarcoma

Correct answer: 3. CNS lesions

Explanation: Ref Robbins 9/e p254-255 The anatomy changes in the tissues are neither specific nor diagnostic